Tympanic membrane develops from?
1. Mesoderm
2. Endoderm
3. Ectoderm
4. All three germ layers

Correct answer: 4. All three germ layers

Explanation: Ans. (d) All three germ layersRef: Longman's medical embryology 12th ed. / 326